During the first 6 months of lactation, which amongst the following contraceptives is not advisable?
1. DMPA
2. Combined oral contraceptives pills
3. Progestin only pills
4. Norplant

Correct answer: 2. Combined oral contraceptives pills

Explanation: - Combined oral contraceptives are relatively contraindicated in the first six months of delivery, as they decrease breastmilk output. - Progestin-only methods can be used after 6 weeks of delivery safely as they have little to no effect on lactation post-six weeks.